A 26-year-old recently married woman presents with tender nodules on her shin. Initial history taking should include questions about
1. Her stress level
2. Any new medications she may have started
3. History of foreign travel
4. Insect bites to the legs

Correct answer: 2. Any new medications she may have started

Explanation: Red tender nodules on her shin could be erythema nodosum; Erythema nodosum is a type of panniculitis, i.e. an inflammatory disorder affecting subcutaneous fat.Oral contraceptives which this newly married woman would take is likely hereOther causes are Neutrophilic dermatoses (Behcet's disease, Sweet's syndrome), iodides, bromides, sulfonamides, Sarcoidosis, Ulcerative colitis(also Crohn's), Streptococcus, Pregnancy, and Malignancy